The capsule of the crystalline lens is thinnest at-
1. Anterior pole
2. Posterior pole
3. Equator
4. None

Correct answer: 2. Posterior pole

Explanation: Capsule is thickest at -Pre-equator regions. Capsule is thinnest at -Posterior pole. Ref: Khurana 7th/e p.185&4th/e p.167)